Culture media for pertussis is -
1. L-J medium
2. Chocolate media
3. Wilson blair medium
4. Bordet - Gengou medium

Correct answer: 4. Bordet - Gengou medium

Explanation: Ans. is 'd' i.e., Bordet-Gengou medium B. pertussis .Morphology - Gram negative - Coccobacillus - Capsulated - Non-motile - Bipolar metachromatic granules are present. . Culture - Strict aerobe - Bordet-Gengou glycerine potato-blood agar medium is commonly used. - Incorporation of diamidine fluoride and penicillin (Lacey's DFP medium) makes it more selective. - Transport media a) Modified stuart's medium b) Mischulow's charcol agar - Produces bisected pearls or mercury drops colones. - Confluent growth present and "aluminium paint" appearance. . Pathogenicity B. pertussis causes pertussis or whooping cough. . Laboratory diagnosis - Specimen The best specimen is collected by nasopharyngeal aspiration. - Culture Culture of nasopharyngeal secretions remains the gold standard of diagnosis. . Treatment DOC Macrolide (Erythromycin, Azithromycin, Clarithromycin) Alternative --111- Cotrimoxazole